Acid Labile penicillin is-
1. Cloxacillin
2. Flucloxacillin
3. Methicillin
4. Phenoxy Methyl penicillin

Correct answer: 3. Methicillin

Explanation: Ans. is 'c' i.e., Methicillin o Gastric acid destroyes the penicillins and decreases their bioavailibility. o All penicillins are acid labile accept phenoxymethyl penicillin (penicillin V), Cloxacillin, Flucloxacillin, Oxacillin, Dicloxacillin, ampicillin. Note - Cloxacillin, flucloxacillin, oxacillin, and dicloxacillin are resistant to both acid as well as penicillinase.